Haemorrhagic infarct may be seen in -
1. Brain
2. Lung
3. Spleen
4. Heart

Correct answer: 2. Lung

Explanation: Ans. is 'b' i.e., Lung